The genomic proteins which are essential determinants of H. pylori-mediated pathogenesis and colonization are all, EXCEPT:
1. Hop proteins
2. Urease
3. Vacuolating cytotoxin (Vac A)
4. Vacuolating cytotoxin (Vac B )

Correct answer: 4. Vacuolating cytotoxin (Vac B )

Explanation: The genome of H. pylori encodes ~1500 proteins. Factors that are essential determinants of H. pylori-mediated pathogenesis and colonization are Outer membrane protein (Hop proteins) urease Vacuolating cytotoxin (Vac A). The majority of H. pylori strains contain a genomic fragment that encodes the cag pathogenicity island (cag-PAI). Several of the genes translocates Cag A into host cells. Once in the cell, Cag A activates a series of cellular events. Ref: Harrison-E-18,P-2442.